All of the following are present in a subcenter except:
1. Multipurpose worker male
2. Multipurpose worker female
3. Medical officer
4. Volunteer worker

Correct answer: 3. Medical officer

Explanation: Ans. C: Medical officer In the public sector, a Sub-health Center (Sub-center) is the most peripheral and first contact point between the primary health care system and the community. As per the population norms, one Sub-center is established for every 5000 population in plain areas and for every 3000 population in hilly/tribal/desert areas. A Sub-center provides interface with the community at the grass-root level, providing all the primary health care services. As sub-centers are the first contact point with the community, the success of any nation wide programme would depend largely on well functioning sub-centers providing services of acceptable standard to the people. Currently a Sub-center is staffed by one Female Health Worker commonly known as Auxiliary Nurse Midwife (ANM), one Male Health Worker commonly known as Multi Purpose Worker (Male) and volunteer worker. One Health Assistant (Female) commonly known as Lady Health Visitor (LHV) and one Health Assistant (Male) located at the PHC level are entrusted with the task of supervision of all the Subcenters (generally six subcenters) under a PHC. The time limit for registering the event of births is 14 days and that of deaths is 7 days.